Which of the following is a suicidal enzyme?
1. Lipoxygenase
2. Cyclooxygenase
3. 5 ' nucleotidase
4. Thromboxane synthase

Correct answer: 2. Cyclooxygenase

Explanation: The suicidal enzyme is one, which undergoes self-destruction in order to terminate its own activity, e.g. cyclooxygenase Switching off of prostaglandin activity is partly achieved by a remarkable property of cyclooxygenase, that of self-catalyzed destruction, i.e. it's a suicidal enzyme. Suicidal inhibition is the conversion of a substrate by the enzyme into a metabolite, which is a potent inhibitor of the enzyme. e.g., xanthine oxidase converts allopurinol to alloxanthine (oxypurinol), which is a more potent inhibitor of allopurinol.